Maximum risk of death is when in the neonatal period?
1. First week
2. Second week
3. Third week
4. Fourth week

Correct answer: 1. First week

Explanation: Ans. is 'a' i.e., First week Neonatal mortalityo Day wise- maximum deaths occur on the first day o Week wise- maximum deaths occur in the first weekWorld over the most common causes areo Infections -MCo Pre term - 2nc MCo Birth Asphyxia- 3rd MC